Uterine artery is branch of ?
1. Anterior branch of internal iliac
2. Posterior branch of internal iliac
3. Anterior division of external iliac
4. Psterior division of external iliac

Correct answer: 1. Anterior branch of internal iliac

Explanation: Anterior branch of internal iliac